T-sign is seen in
1. Diamniotic Monochorionic
2. Dichorionic Diamniotic
3. Monochorionic monoamniotic
4. Dichorionic Monoamniotic

Correct answer: 1. Diamniotic Monochorionic

Explanation: The "T sign" and Twin-peak sign(or lambda (l)sign) and is used in ultrasound assessment of multifetal pregnancy. T sign refers to the thin intervening septa denoting a Monochorionic pregnancy. Twin peak sign/Lambda sign denotes Dichorionic Diamniotic Twin Gestation